Typical appearance of diabetic cataract is
1. Blue dot cataract
2. Post capsular cataract
3. Snow flake opacities
4. Sunflower cataract

Correct answer: 3. Snow flake opacities